Which of the following is an absolute contraindication to OCP use
1. DVT
2. Diabetes mellitus
3. History of amenorrhea
4. Chronic renal disease

Correct answer: 1. DVT

Explanation: Absolute Contraindication to OCP use:- (A) Circulatory Diseases (Past or present) :- * Arterial or venous thrombosis * Severe hypertension * History of stroke * Heart disease: valvular, Ischemic * Diabetes with vascular complications * Migraine with focal neurologic symptoms (B) Diseases of the Liver :- * Active liver disease * Liver adenoma, carcinoma (C) Others :- * Pregnancy * Breastfeeding (postpartum 6 weeks) * Major surgery or prolonged immobilization * Estrogen dependent neoplasms, e.g. breast cancer Relative Contraindication: - WHO Category-2 : (Advantages outweigh the risks) :- * Age >= 40 years * Smoker < 35 years * History of jaundice * Mild hypertension * Gallbladder disease * Diabetes * Sickle cell disease * Headache * Cancer cervix or CIN WHO Category-3 : (Risks outweigh the advantages) :- * Unexplained vaginal bleeding * Hyperlipidemia * Liver tumors (Benign) * Breastfeeding (postpartum 6 weeks to 6 months) * Heavy smoker (> 20 cigarettes/day) Ref:- Speroff Clinical Gynecologic Endocrinology and Infertility 8th Edition; Pg num:- 1033